In treatment of Pseudomonas infections, carbencillin is frequently combined with:
1. Penicillin
2. Gentamycin
3. Ciprofloxacin
4. Amoxycillin

Correct answer: 2. Gentamycin

Explanation: Gentamycin